The sensory system that has the most direct connection to brain is?
1. Taste
2. Smell
3. Vision
4. Hearing

Correct answer: 2. Smell

Explanation: The olfactory system, or sense of smell, is the part of the sensory system used for smelling (olfaction). Most mammals and reptiles have a main olfactory system and an accessory olfactory system. The main olfactory system detects airborne substances, while the accessory system senses fluid-phase stimuli. The senses of smell and taste (gustatory system) are often referred to together as the chemosensory system because they both give the brain information about the chemical composition of objects through a process called transduction.Ref: Ganong's review of medical physiology 23rd edition Page no: 220